Best available option to prevent MRSA infection in a hospital:
1. Prophylactic antibiotics
2. Fumigation of wards
3. Proper hand washing
4. Use of disinfectants

Correct answer: 3. Proper hand washing

Explanation: Ans. is. c. Proper hand washing